Congenital toxoplasmosis, all are true, except
1. Occurs in primarily infected mother during pregnancy
2. As gestational age increase, risk of transmission to fetus increases
3. Infant is usually asymptomatic, if infection is transmitted in 3rd trimester.
4. None of the above

Correct answer: 4. None of the above

Explanation: Congenital toxoplasmosis is a disease that occurs in fetuses infected with Toxoplasma gondii, a protozoan parasite, which is transmitted from mother to fetus. 
It can cause miscarriage or stillbirth. 
It can also cause serious and progressive visual, hearing, motor, cognitive, and other problems in a child. 
Most infected infants appear healthy at birth.
They often do not develop symptoms until months, years, or even decades later in life.
Infants with severe congenital toxoplasmosis usually have symptoms at birth or develop symptoms within the first six months of life.

Symptoms may include:
Premature birth — as many as half of infants with congenital toxoplasmosis are born prematurely, abnormally low birth weight, eye damage, jaundice, yellowing of the skin and whites of the eyes, diarrhea, vomiting, anemia, difficulty feeding, swollen lymph nodes, enlarged liver and spleen, macrocephaly, an abnormally large head, microcephaly, an abnormally small head, skin rash, vision problems, hearing loss, motor and developmental delays, hydrocephalus, a buildup of fluid in the skull, intracranial calcifications, evidence of areas of damage to the brain caused by the parasites, seizures, mild to severe intellectual disability.
Ref : https://www.healthline.com/health/congenital-toxoplasmosis#risks